Acrodermatitis entropathica is
1. AD
2. AR
3. X-linked recessive
4. None

Correct answer: 2. AR

Explanation: Acrodermatitis enteropathica is an autosomal recessive disorder postulated to occur as a result of mutations in the SLC39A4 gene located on band 8q24.3. The SLC39A4 gene encodes a transmembrane protein that is part of the zinc/iron-regulated transporter-like protein (ZIP) family required for zinc uptake. This protein is highly expressed in the enterocytes in the duodenum and jejunum; therefore, affected individuals have a decreased ability to absorb zinc from dietary sources. Absence of a binding ligand needed to transport zinc may further contribute to zinc malabsorption. Ref: Medscape